Co2 causes?
1. Decrease respiratory drive
2. Reduces cerebral blood flow
3. Depresses vasomotor centre
4. Respiratory stimulation by central chemoreceptc

Correct answer: 4. Respiratory stimulation by central chemoreceptc

Explanation: ANSWER: (D) Respiratory stimulation by central chemoreceptorsREF: Ganong's 22nd ed chapter 31Co2 causes direct stimulation of vasomotor centre